37 weeks primi with uterine contraction for 10 hours, cervix is 1 cm dilated and poorly effaced management is:
1. Cesarean section
2. Amniotomy
3. Oxytocin drip
4. Sedation and wait

Correct answer: 4. Sedation and wait

Explanation: Ans. is d, i.e. Sedation and waitRef. Fernando Arias 3/e, p 376The patient is presenting at 37 weeks with mild labor pains for 10 hours. Cervix is 1 cms dilated and is not effaced. Now this can either be a case of false labor pains or it can be prolonged latent phase of labor.False labor can be differentiated from latent phase of labor by therapetuic rest, i.e. patient is sedated with morphine.Patient in false labor|Sleeps for a few hours and wakes-up without contractionsPatient in latent phase|Continues contracting and show cervical changes following the restSo the correct option is Sedate and Wait.